Lower one fourth of vagina is formed from:
1. Urogenital sinus
2. Paramesonephric duct
3. Mesonephric duc
4. Mullerian duct

Correct answer: 1. Urogenital sinus

Explanation: Uterovaginal canal (mesoderm) comes in contact with the urogenital sinus (endoderm). Sinovaginal bulbs are formed by the proliferation of endodermal lining. Solid vaginal plate is derived partly from mesoderm of uterovaginal canal and partly from endoderm of sinovaginal bulbs. Vagina is formed by canalization of vaginal plate. Lower one fourth of vagina is formed from urogenital sinus. Ref: Snell's, Clinical Anatomy, 7th Edition, Page 404; Human Embryology, 7th Edition, Page 283.